Not true regarding Dandy-Walker cyst:
1. Cerebellar vermis hypoplasia
2. Hydrocephalus
3. Arachnoid cysts
4. Posterior fossa cyst

Correct answer: 3. Arachnoid cysts

Explanation: Characteristic Triad of Dandy Walker : * Hypoplasia of Vermis * Cephalad Rotation of Vermian remnant and Cystic Dilation of Fourth Ventricle extending posteriorly * Enlarged Post Fossa with Torcular Lambdoid inversion